Clinical manifestations of Lesch-Nyhan syndrome is due to the defective recycling of the following:
1. Purines
2. Methylcobalamin
3. Pyrimidines
4. Thiamine

Correct answer: 1. Purines

Explanation: Lesch-Nyhan syndrome is a genetic disease, affecting almost solely males, of excessive synthesis of purines because of defective recycling and, therefore, uric acid production from their breakdown. Lesch-Nyhan syndrome is characterized by gouty arthritis but, in addition, affects the brain, resulting in intellectual disability, loss of control of arm/leg/face movements, aggressive behavior, and self-mutilation by biting and scratching. Ref: Janson L.W., Tischler M.E. (2012). Chapter 4. Nucleosides, Nucleotides, DNA, and RNA. In L.W. Janson, M.E. Tischler (Eds), The Big Picture: Medical Biochemistry.